Which is the most important element in treatment of diphtheria?
1. Antitoxin
2. Tetracycline
3. Erythromycin
4. Penicillin

Correct answer: 1. Antitoxin

Explanation: The most important element in treatment of diphtheria is antitoxin. Option 1 1. Treatment of diphtheria: Treatment should be started immediately on clinical suspicion of diphtheria. 2. Anti-diphtheritic horse serum or ADS (antitoxin): It is the treatment of choice as it neutralizes the toxin. Serum antitoxin concentration of 0.01 IU/mL is usually accepted as the minimum protective level, and 0.1 IU/mL provides a definitely protective level. NOTE- Antitoxin appears to be of no value in treatment of cutaneous diphtheria. Option 2, 3, 4 1. Antibiotics: Penicillin or erythromycin is the drug of choice. Antibiotic plays a minor role as it is of no use once the toxin is secreted. However, antibiotics are useful: - If given early (< 6 hrs of infection), before the toxin release. - Prevent further release of toxin by killing the bacilli. - Treatment for cutaneous diphtheria. 2. Treatment of carriers: Drug of choice is erythromycin.